Chronic constipation in children is seen in all A/E
1. Hirschspring disease
2. Jejunal polyp
3. Hypothyroidism
4. Stricture

Correct answer: 2. Jejunal polyp

Explanation: Causes of constipation : Intestinal drugs metabolic neuromuscular others hirschsprung,sdisease anal stenosis anal fissure anteriorly displaced anal opening stricture narcotics vincristine psychotropics cystic fibrosis hypothyroidism panhypopituitarism cerebral palsy psychomotor retardation spinal cord lesions myotonic dystrophy neuropathy or myopathy of GIT low fibre diet milk protein allergy Ref : ESSENTIAL PEDIATRICS,O.P.GHAI,PG NO:255